Right to left movement occurs at:
1. Atlanto-axial
2. Atlanto-occipital
3. C2 -C3
4. C3 -C4

Correct answer: 1. Atlanto-axial

Explanation: Ans. a. Atlanto-axialTo look right or left ('NO' movements of head) occurs at the Atlanto-axial Joint.'YES' movements occur at the Atlanto-occipital Joint and involve flexion and extension of head over vertebra.C2-C3 and C3-C4 joints allow mainly flexion and extension of the neck and small degree of rotation is also possible.